Sarcolemma is the cell wall surrounding:
1. Neurons
2. Muscle cells
3. Red blood cells
4. None of the above

Correct answer: 2. Muscle cells

Explanation: Each muscle fiber is a single cell that is multinucleated, long, cylindrical, and surrounded by a cell membrane, the sarcolemma. Ref: Ganong's Review of Medical Physiology 23rd edition, Chapter 45.